Intermittent prophylaxis for febrile seizures should be given for how many days when a fever recurrs?
1. 1 day
2. 3 days
3. 7 days
4. 14 days

Correct answer: 2. 3 days

Explanation: Intermittent prophylaxis for febrile seizures with oral Clobazam or Diazepam is recommended for 1st 3 days of febrile illness, when a fever recurs.